X-rays are:
1. Electrons
2. Protons
3. Neutrons
4. Electromagnetic waves

Correct answer: 4. Electromagnetic waves

Explanation: Ans. Electromagnetic waves